Small for date baby is –
1. < 10 percentile for the gestational age
2. < 50 percentile for gestational age
3. < 2000 gm
4. < 2500 gm

Correct answer: 1. < 10 percentile for the gestational age

Explanation: The expected weight of newborn infants born at a given gestational age is generally estimated from the intrauterine growth charts on observations in live births of mothers delivering at different gestations.


Appropriate for gestational age (appropriate for date)

Babies with birth weight ranging between 10th to 90th percentile on such a chart are considered appropriate for date.

Small for gestational age (small for date)

Babies with birth weight less than 10th percentile are categorized as small for dates.

Large for gestational age (large for date)

Babies with birth weight more than 90th percentile are categorized as large for date.

Low birth weight newborn

Any neonate weighing less than 2500 gm at birth irrespective of the gestational age.

Very low birth weight newborn

Any neonate weighing less than 1500 gm at birth irrespective of the gestational age.

Extremely low birth weight newborn

Any neonate weighing less than 1000 gm at birth irrespective of the gestational age.